Schwannoma involves the -
1. Vestibular part of VIIIth nerve
2. Cochlear part of VIIIth nerve
3. Vagus nerve
4. Hypoglossal nerve

Correct answer: 1. Vestibular part of VIIIth nerve